All the following drugs are used for thrombo prophylaxis except -
1. Heparin
2. Warfarin
3. Aspirin
4. Antithrombin

Correct answer: 4. Antithrombin

Explanation: Ans. is 'd' i.e., Antithrombin Prophylaxis for venous thrombus o Heparin (unfractioned, LM W, or fondaparinox) and oral anticoagulants (warfarin). Prophylaxis for arterial thrombus o Aspirin o Clopidogrel o Ticlopidine